All the following drugs are used to prevent relapse and maintain abstinence in cases of alcohol withdrawal except ?
1. Disulfiram
2. Acamprosate
3. Naltrexone
4. Propranolol

Correct answer: 4. Propranolol

Explanation: Ans. D. PropranololDetoxification (treatment of withdrawal):- BZDs are the drugs of choice, e.g. chlordiazepoxiile (Id choice), Diazepam (2nd choice).Maintenance after detoxification (to prevent relapse and maintenance of abstinence):-Aversive agent (ileferent agents):- Disulfiram, CCC, metronidazole, Natrafezole.Anticraving agent: - Naltrexone, Acamprosate, fluoxetine, Topiramate, Nalmefene.